Immunostimulant used for the treatment of malignant melanoma is:
1. Levamisol
2. BCG
3. Aldesleukin
4. Methotrexate

Correct answer: 3. Aldesleukin

Explanation: (Ref: Katzung 10/e p906) It is a recombinant IL-2 used for the treatment of renal cell carcinoma and maliguant melanoma.